Recommended daily intake of fibre in diet
1. 20 grams
2. 40 grams
3. 80 grams
4. 100 grams

Correct answer: 2. 40 grams